A 60-year-old male presents with episodes of severe vertigo which lasts for 4 hours, associated with vomiting. O/E he is having right horizontal nystagmus and mild right-sided SN hearing loss during the episode. Diagnosis:
1. Vertibro-basilar ischemic attacks
2. Labyrinthitis
3. Meniere's disease
4. Benign paroxysmal vertigo

Correct answer: 3. Meniere's disease

Explanation: (c) Meniere's disease(Ref. Cummings, 6th ed., 2556)Vertebrobasilar (posterior) circulation constitutes the arterial supply to the brainstem, cerebellum, and occipital cortex.Along with vertigo, nausea and vomiting, the patient presents with loss of vision in one or both eyes, double vision, numbness or tingling in the hands or feet, slurred speech and changes in mental status.In labyrinthitis the vertigo and hearing loss last for a few weeks and not for 4 hoursIn Benign paroxysmal vertigo there is only vertigo and no hearing loss